Which is not Included in active management of III stage of Labour?
1. Uterotonic within 1 minute of delivery
2. Immediate damping, cutting and ligation of cord
3. General massage of uterus
4. Controlled cord traction

Correct answer: 2. Immediate damping, cutting and ligation of cord

Explanation: Clamping and ligature of the cord are done in the second stage of the labor.Reference:Textbook of obstetrics,Sheila Balakrishnan,2nd edition,page no:119.